Denominator in General fertility rate is?
1. Married women in reproductive age group in a given year
2. Women in reproductive age group in a given year
3. Married women in any specified age group
4. Women in any specified age group

Correct answer: 2. Women in reproductive age group in a given year

Explanation: ANSWER: (B) Women in reproductive age group in a given yearREF: Parks textbook 20th edition page419Repeat from December 2008General fertility rate: Number of live births per 1000 women in reproductive age group in a given yearGeneral marital fertility rate: Number of live births per 1000 married women in reproductive age group in a given yearAge specific fertility rate: Number of live births in a year to 1000 women in any specified age groupAge specific marital fertility rate: Number of live births in a year to 1000 married women in any specified age group